What is the characteristic of normal distribution?
1. Mean = Median = mode
2. Mean is 1, SD-zero
3. Curve skewed towards the left
4. Curve skewed towards the right

Correct answer: 1. Mean = Median = mode